Tumbling motility is shown by
1. Vibrio
2. Campylobacter
3. Borrelia
4. Listeria

Correct answer: 4. Listeria

Explanation: Types of Motility